Tube (Cylinder) cast is applied for the fracture of -
1. Shoulder
2. Hip
3. Pelvis
4. Knee

Correct answer: 4. Knee

Explanation: Cylinder cast in full extension is given for undisplaced patella fractures.